Palsy of right genioglossus causes-
1. Deviation of tongue to right
2. Deviation of tongue to left
3. Deviation of soft palate to right
4. Deviation of soft palate to left

Correct answer: 1. Deviation of tongue to right

Explanation: A i.e. Deviation of tongue to right